Common carotid artery divides at the level of
1. Hyoid bone
2. Cricoid cartilage
3. Superior border of thyroid cartilage
4. Inferior border of thyroid cartilage

Correct answer: 3. Superior border of thyroid cartilage

Explanation: At the level of the upper border of the thyroid cartilage, the artery ends by dividing into the external and internal carotid arteries. The right common carotid artery is a branch of the brachiocephalic artery. the left common carotid artery is branch of the arch of the aorta. Ref.BDC volume 3 sixth edition pg no: 99